Lamina cribrosa is absent in which of the following?
1. Morning Glory syndrome
2. Nanophthalmia
3. Colobama of retina
4. Optic nerve agenesis

Correct answer: 1. Morning Glory syndrome

Explanation: The term 'morning glory syndrome' (MGS) was introduced because the papillary region in the affected eye is reminiscent of a (withering) flower of 'morning glory'. Morning Glory Syndrome associated with a peripapillary scleral defect, absence of a lamina cribrosa and a recess formed by an axial retrodisplacement of the optic nerve. The central posterior scleral malformation may be associated with other intraocular anomalies, of which non-rhegmatogenous retinal detachment is the most frequent. Ref: The Morning Glory syndrome' ophthalmologica 1983; 187 (7) : 222 - 230 1990, 74; 56- 58; Article: Morning glory syndrome: a histopathological study, NCB.